Most common cause of sporadic encephalitis ?
1. EBV
2. HSV
3. Poliovirus
4. CMV

Correct answer: 2. HSV

Explanation: Ans. is `b' i.e., HSV "HSV encephalitis is the most common sporadic acute viral encephalitis in most part of the world." -- Ananthnarayan